Investigation of choice in discrete thyroid swelling is-
1. Isotope scans
2. Ultrasonography
3. Autoantibody titers
4. FNAC

Correct answer: 4. FNAC